Which is a noveneral form of treponemal infection-a)  Yawsb)  Pintac)  Syphilisd)  GV
1. ac
2. a
3. ab
4. bc

Correct answer: 3. ab